Malignancy in pheochromocytoma is indicated by-
1. Vascular invasion
2. Mitotic figures
3. Capsular invasion
4. metastasis

Correct answer: 4. metastasis

Explanation: "Because malignant and benign pheochromocytomas may have an identical histological appearance, the only absolute criterion of malignancy is metastasis"
​"The diagnosis of malignant pheochromocytoma is made only when metastasis is demonstrated"